Closure of Neural Tube begins at which of the following levels -
1. Cervical Region
2. Thoracic Region
3. Cephalic end
4. Caudal end

Correct answer: 1. Cervical Region